Vibrio parahemolyticus is seen in undercooked:
1. Crab
2. Shellfish
3. Prawn
4. Fish

Correct answer: 2. Shellfish

Explanation: ANSWER: (B) shellfishREF: Food and nutrition at risk in America: food insecurity, By Sari Edelstein Page 24,Seafood safety: economics of hazard analysis and Critical Control Point by James C. Cato, Food and Agriculture Organization of the United Nations page 10."The most common source of Vibrio bacteria is oysters and other shellfish, especially from the Gulf of Mexico. V. vulnificus and V. parahaemolyticus are halophilic, requiring salt for survival""CDC reported shellfish outbreaks (40 when etiology known) were associated with Vibrio parahaemolyticus (15), Hepatitis A. virus (7), Shigella (4), Salmonella (3), Vibrio cholerae Ol, other viral, Non-Ol V. cholera, clostridium perfringens, bacillus cereus (2 each) and staphylococcus (1).